Lethal dose of krait venom:
1. 3 mg
2. 6 mg
3. 12 mg
4. 15 mg

Correct answer: 2. 6 mg

Explanation: Ans. 6 mg